Mysthenia gravis is which type of hypersensitivity-
1. Type I
2. Type II
3. Type III
4. Type IV

Correct answer: 2. Type II

Explanation: Question repeated